Which of the following is an oxytocin antagonist ?
1. Ritodrine
2. Atosiban
3. Isoxsuprine
4. Methergine

Correct answer: 2. Atosiban